All of the following are causes of hemobilia, EXCEPT:
1. Trauma to Abdomen
2. Malignancy
3. Rupture of hepatic artery aneurysm
4. Hepatitis

Correct answer: 4. Hepatitis

Explanation: Hemobilia presents with the triad of biliary colic, obstructive jaundice, and occult or gross intestinal bleeding. Causes are, Hepatic trauma Ductal parasitism (Ascaris lumbricoides) Oriental cholangiohepatitis Hepatic neoplasms Rupture of a hepatic artery aneurysm Hepatic abscess Choledocholithiasis The diagnosis may be suspected from a technetium-99m-labeled red blood cell scan, but an arteriogram is usually required for diagnosis and planning of therapy. Ref: Doherty G.M. (2010). Chapter 25. Biliary Tract. In G.M. Doherty (Ed), CURRENT Diagnosis & Treatment: Surgery, 13e.